Which is not a feature of Posterior Urethral Valve
1. Palpable bladder
2. Painful stress incontinence
3. Recurrent UTI
4. Hydronephrosis

Correct answer: 2. Painful stress incontinence

Explanation: The diagnosis of posterior urethral valves is made by radiographic imaging with ultrasound and voiding cystourethrogram. Ultrasound will usually show a dilated urethra, bladder, and kidneys; it is supportive of the diagnosis of posterior urethral valves, but not confirmatory. Pathophysiology | Bladder pressure | Wall hypertrophy + Collagen deposition | | Compliance Small amounts of urine may cause large increase in bladder pressure | Bilateral Hydronephrosis Complications Oligohydramnios - Lung hypoplasia & respiratory distress Vesicoureteral reflux Urinary stasis - UTI - Chronic kidney disease - End-stage renal failure Reference: GHAI Essential pediatrics, 8th edition